Alpha Bungarotoxin acts at:
1. Ach synthesis
2. Ach receptors
3. Ach secretion
4. Acetylcholine release

Correct answer: 2. Ach receptors

Explanation: Ach receptors